Australian antigen is:
1. HB Ag
2. HBs AG
3. HBV
4. None of the above

Correct answer: 2. HBs AG